A 50 year old man with a history of smoking, hypertension, and chronic exertional angina develops several daily episodes of chest pain at rest compatible with cardiac ischemia. The patient is hospitalized. All the following would be part of an appropriate management plan cxcept :
1. Intravenous heparin
2. Aspirin
3. Intravenous nitroglycerin
4. Lidocaine by bolus infusion

Correct answer: 4. Lidocaine by bolus infusion

Explanation: Answer is D (Lidocaine by Bolus infusion) This patient with several risk factors for ischaemic heart disease and chronic exertional dyspnea now develops `several daily' episodes of chest pain and 'pain at rest' suggesting a diagnosis of U.A (or NSTEMI). While nitrate are recommended as the initial antiischaemic treatment, aspirin and heparin form part of antithrombotic treatment. Lidocaine is not indicated.